RBBB with left Axis Deviation Is characteristic of
1. Ostium Primum ASD
2. Mitral valve prolapse
3. Patent Ductus Arteriosus
4. Ventricular Septal Defect

Correct answer: 1. Ostium Primum ASD

Explanation: Left axis deviation may occur as a normal variant but is more commonly associated with left ventricular hypertrophy, a block in the anterior fascicle of the left bundle system (left anterior fascicular block or hemiblock), or inferior myocardial infarction. In ostium primum ASD, the RV conduction defect is accompanied by left superior axis deviation and counterclockwise rotation of the frontal plane QRS loop. ( Harrison's principle of internal medicine,18th edition,pg no.1834 )